First sign of puberty in girls –
1. Puberchy
2. Thelarchy
3. Growth spurt
4. Menarche

Correct answer: 2. Thelarchy

Explanation: In girls, the first visible sign of puberty is the appearance of breast buds (Thelarche), between 8-12 years of age.
In boys the first visible sign of puberty is testicular enlargement, beginning as early as 9% yr.